A police officer brings the aborted product of conception of size 2 cm and weight 10 gm. For all forensic purposes, what will be the age of the fetus?
1. 1.5 months
2. 2.5 months
3. 3.5 months
4. 4 months

Correct answer: 1. 1.5 months

Explanation: Ans. A 1.5 months Rule of Hasse For first 5 months, age in months is equal to [?]crl in cm= Square root of 2=1.5 Rule of Hasse is used to determine the age of fetus from crown to heel length in cm. Age of the fetus in months during the first 5 months of pregnancy is given as the square root of the length of the fetus i.e age in months =[?]length in cm Age of the Fetus End of first month * Length 1 cm, weight two and half gram * Eyes are seen as two dark spots and mouth as a cleft End of second month * Length 4 cm. weight 10 gms * Hands and feet are webbedQ * Anus is seen as a dark spot End of third month * Length 9 cm. Weight 30 gms * Eyes are closedQ, pupillary membrane appears * Nails appear and neck is formed End of fourth month * Length 16 cm, weight 120 gmsQ * Sex can be recognizedQ End of fifth month * Length 25 cm, weight 400 gms * Nails are distinct and softQ * Light hairs appear on headQ End of sixth month * Length 30 cm, weight 700 gms * Eyebrow and eyelashes appearQ * Subcutaneous fat begins to be depositedQ * Testes are seen close to kidney End of seventh month * Length 35 cm, weight 900-1200 gms * Nails are thick * Eyelids open and pupillary membrane disappearsQ * Testes found at external inguinal ringQ End of eighth month * Length 40 cm, weight one and half to two kg * Nails reach the tips of fingersQ * Left testes in scrotumQ End of ninth month * Length 45 cm, weight two and half to three kg * Scalp hair is dark and 4 cm longQ * Scrotum is wrinkled and contains both testesQ End of tenth month * Length 50-53 cm, weight 2.5-5 kg * The nails project beyond the end of fingers but reach only the tip of the toesQ